Which of the following is not true about the cell wall of Gram positive bacteria?
1. Thicker
2. Several varieties of amino acids
3. Absence of lipids
4. Absence of sulphur containing amino acids

Correct answer: 2. Several varieties of amino acids